A 35 yr female with ductal ca in situ of breast with diffuse microcalcifications. What is best possible mnagement
1. Breast conservative surgery
2. Simple mastectomy
3. Modified radical mastectomy
4. Radiotherapy

Correct answer: 2. Simple mastectomy

Explanation: .Total (simple) mastectomy: Along with the tumour, entire breast, areola, nipple, skin over the breast, including axillary tail are removed. There is no axillary dissection. Often the patient is subjected to radiotherapy later (External) to axilla. ref:SRB's manual of surgery,ed 3,pg no 480